Machineable glass ceramic is:
1. Cerestore
2. Decor MGC
3. Infusium
4. Leucite

Correct answer: 2. Decor MGC